Major connectors of a maxillary RPD may be beaded to:
1. Produce a stronger frame work
2. Aid in retention of removable partial denture
3. Hold acrylic resin to the metal
4. Produce positive contact with the tissue

Correct answer: 4. Produce positive contact with the tissue